Select true statement regarding proportion:-
1. Numerator is not a part of denominator
2. Numerator is part of denominator and always expressed as percentage
3. Numerator is part of denominator and not expressed as percentage
4. Numerator is not a part of denominator and always expressed as percentage

Correct answer: 2. Numerator is part of denominator and always expressed as percentage

Explanation: Proportion = a/b X 100. numerator (a) is part of Denominator (b). always expressed in percentage. Examples:Prevalence of disease, Case fatality Rate are also proportion.